Ovary consists of all except:
1. Primary follicle
2. Graafian follicle
3. Sertoli cells
4. Corpus luteum

Correct answer: 3. Sertoli cells

Explanation: Ans. C. Sertoli cellsThe ovary is an organ found in the female reproductive system that produces an ovum. When released, this travels down the fallopian tube into the uterus, where it may become fertilized by a sperm.The surface of the ovaries is covered with membrane consisting of a lining of simple cuboidal-to-columnar shaped mesothelium.The outermost layer is called the germinal epithelium.The outer layer is the ovarian cortex, consisting of ovarian follicles (primordial follicle, primary follicle & graafian follicle (and stroma in between them. Included in the follicles are the cumulus oophorus, membrana granulosa (and the granulosa cells inside it), corona radiata, zona pellucida, and primary oocyte. Theca of follicle, antrum and liquorfolliculi are also contained in the follicle. Also in the cortex is the corpus luteum derived from the follicles. The innermost layer is the ovarian medulla. It can be hard to distinguish between the cortex and medulla, but follicles are usually not found in the medulla.